The false statement associated with Kaposi's sarcoma is:
1. Caused by human herpes virus 8
2. Seen in immune suppressed persons
3. Proliferative tumor of the blood vessels
4. Surgery is the treatment of choice

Correct answer: 4. Surgery is the treatment of choice

Explanation: Kaposi sarcoma, a vascular tumor ,induced by HHV 8. The lesions of KS are characterized by the proliferation of spindle-shaped cells that express markers of both endothelial cells and smooth muscle cells. There is also a profusion of slit like vascular spaces, suggesting that the lesions may arise from primitive mesenchymal precursors of vascular channels. KS lesions display chronic inflammatory cell infiltrates. Solid organ transplant (SOT) patients are highly susceptible to development of KS Kaposi's sarcoma is 550-1000 times M/C among SOT recipients than in normal population Mainstay treatment active Retroviral therapy.